X-ray of which of the following would be most appropriate for determining bone age at 7 months?
1. Shoulder
2. Medial end of clavicle
3. Wrist
4. Knee

Correct answer: 1. Shoulder

Explanation: Ans. a (Shoulder) (Ref OP Ghai 6th/p. 6; 7th/p. 4)Additional Educational Points:To determine the skeletal age in:# Radiograph of SHOULDER is most helpful = infant between 3 and 9 months.# A single film of hands and wrist = adequate in children between 1 and 13 years.# Film of elbow and hip = Between 12 and 14 years children.Eruption of permanent teeth occurs in folowinz order# First molar = 6-7 yrs# Central and lateral incisor = 6-8 yrs# Canines and premolars= 9-12 yrs# Second molars = 12 yrs# Third molars = >18 yrs.